Oxygenated blood from fetus is carried by:
1. Umbilical artery
2. Umbilical vein
3. Ductus venosus
4. Hypogastric artery

Correct answer: 2. Umbilical vein

Explanation: b. Umbilical vein(Ref: Nelson's 20/e p 2161-2162, Ghai 8/e p 402)Blood oxygenated in placenta returns via umbilical vein, which enter the fetus at the umbilicus and joins portal vein